Which of the following virus has negative sense RNA?
1. Rabies
2. Reovirus
3. Coronavirus
4. Calcivirus

Correct answer: 1. Rabies